2-week old neonate with a history of stridor that improves when the baby assumes the prone position - what is treatment -
1. Oral calcium
2. Nebulisation
3. Wait & watch
4. Antibiotic

Correct answer: 3. Wait & watch

Explanation: Ans. is 'c' i.e., Wait & watch Laryngomalaciao The most common congenital laryngeal anomaly and the most frequent cause of stridor in infants and children.o Typically, stridor is inspiratory: low pitched, and exacerbated by any exertion (crying, agitation, feeding), supine position, and viral infections of the upper airway.o Stridor results from the collapse of supraglottic structures inward during inspiration.o Symptoms usually appear in the first 2 wk of life and increase in severity for up to 6 mo, although gradual improvement can begin at any time,o The diagnosis is confirmed by flexible laryngoscopyo Expectant observation is suitable for most infants because most symptoms resolve spontaneously.